Acute paronychia is commonly treated by :
1. I & D
2. Partial nail avulsion
3. Total nail avulsion
4. Nail bed destruction

Correct answer: 1. I & D

Explanation: Ans-ARef: Rook's Textbook of DermatologyExplanation:Acute paronychiaIt is a common complaint usually due to staphylococcal infection.It' superficial it may point close to the nail and can easily be drained by incision with a size 1 1 scalpel.Deeper lesions are best treated by antibiotics initially, but if they do not improve within 2 days, incision under local anesthesia is required, particularly in childhood.The incision is made laterally in the proximal nail fold.Some authorities recommend removing the proximal one-third of the nail plate without initial incisional drainage. This gives more rapid relief and more sustained drainage.Chronic paronychiaIt is an inflammatory dermatosis of the nail folds due to an irritant associated with wet work or caustic materials.Secondary infection, especially with Candida or Pseudomonas may play a role in the pathogenesis.The chronic, non-infective, inflammatory component is treated with topical steroids in addition to antimicrobials.Acute exacerbations occur from time to time and are due to secondary bacterial infection.Skin diseases that may present as chronic paronychia:PsoriasisAtopic dermatitisPemphigusSquamous cell carcinoma (single nail)Retinoids therapy.Herpetic paronychia \ herpetic whitlow)